Glaukomflecken is –
1. Acute uvetis due to glaucoma
2. Lens opacity due to glaucoma
3. Retinal detachment due to glaucoma
4. Corneal opacity due to glaucoma

Correct answer: 2. Lens opacity due to glaucoma

Explanation: Epithelial cell necrosis leads to focal opacification of the lens epithelium as glaucomflecken in acute angle-closure glaucoma.